All of the following muscles contribute to  urogenital sphincter complex except
1. Compressor urethrae
2. Sphincter urethrae
3. Urethrovaginal sphincter
4. Bladder base detrusor muscle

Correct answer: 4. Bladder base detrusor muscle

Explanation: Urogenital sphincter is composed of striated muscles:

Sphincter urethrae
Urethrovaginal sphincter
Compressor urethrae.